Marjolin ulcer
1. Ca in marjolin's is squamous cell ca
2. Chronic venous insufficiency
3. Basal cell carcinoma
4. arise from base of the ulcer

Correct answer: 1. Ca in marjolin's is squamous cell ca

Explanation: .marjolin's ulcer is the name given to a malignancy ( usually a squamous cell carcinoma ) which arise in any long standing wound or a scar mostly scar of an old burn it grows slowly as it is avascular it is painless